What is true regarding the gamma efferent neuron?
1. An 'A' group motor neuron with a smaller diameter than that of alpha efferent neurons
2. Innervates intrafusal fibres
3. Innervates muscle fibres that stretch annulospiral bulbar endings
4. All of the above

Correct answer: 4. All of the above

Explanation: (D) All of the above # SPINDLES have motor nerve supply of their own and these nerves constitute about 30% of fibers in ventral roots, and belong in Erlanger and Gasser's A g group.> Because of their characteristic 3-6 mm diameter in size or called g efferents of Leksell or small motor nerve system.> Larger b motor neurons innervate both intrafusal and extrafusal fibers.